In anthropometric assessment, which of the following does not show much change in 1-4 years ?
1. Mid arm circumference
2. Skin fold thickness
3. Chest circumference: Head circumference ratio
4. Height

Correct answer: 1. Mid arm circumference

Explanation: Meherban Singh 3rd edition, page 53 During 1-5 years of age, the mid-upper arm circumference (MUAC) remains reasonably static between 15-17 cm among healthy children because fat of early infancy is gradually replaced by muscles.